2, 3 DPG binds to __________ site of Hb and __________ release of O2?
1. One, increase
2. Four, increase
3. One, decrease
4. Four, decrease

Correct answer: 1. One, increase

Explanation: The fate of 2,3 - DPG2, 3-DPG is synthesized within RBCs from 3 phosphoglyceraldehyde, which is a product of glycolysis the Embden-Meyerhof pathway.It is a highly charged anion that binds to the P chains of deoxy-hemoglobin. One mole of deoxyhemoglobin binds 1 mol of 2,3-DPG.HbO2 + 2,3-DPG = Hb - 2,3-DPG + O2In this equilibrium, an increase in the concentration of 2,3-DPGshifts the reaction to the right, causing more O2 to be liberated.Factors affecting 2,3-DPG concentration and affinity for hemoglobinIncreasing 2,3-DPGDecreasing 2,3-DPGChronic hypoxia egObstructive pulmonary emphysemaHigh altitudeCyanotic congenital heart diseaseAnaemiaeg.sickle cell HbAcidosisExerciseHormonesThyroid hormoneGrowth hormoneAndrogensPregnancyInosineDihydroxyacetonePyruvatePhosphateStored bloodFetal hemoglobinAlkalosis(Refer: Ganong's Review of Medical physiology 24th edition, pg no: 643-644)